The average life of a cyclops is about –
1. 1 month
2. 2 months
3. 3 months
4. 4 months

Correct answer: 3. 3 months